Behaviour modificiation includes all of the following
EXCPT -
1. Tell-Show-Do
2. Desensitization
3. Modeling
4. Home

Correct answer: 4. Home